If parents or guardian is not available consent can be taken from teacher or principal under
1. Therapeutic privilege
2. Emergency doctrine
3. Loco parentis
4. Therapeutic waiver

Correct answer: 3. Loco parentis

Explanation: Loco parentis In an emergency involving children, when their parents or guardian are not available, consent can be taken from the person who is in charge of the child, eg. teacher or the principal of the residential school. They can give consent in the place of the parent. Ref: FORENSIC MEDICINE AND TOXICOLOGY Dr PC IGNATIUS THIRD EDITION PAGE 385